Patient's relative gives a history of tattoo, however it was not found during autopsy. What should be dissected to find it:
1. Lymph node
2. Skin
3. Spleen
4. Kidney

Correct answer: 1. Lymph node

Explanation: Tattoo Marks Faint or disappeared tattoo marks can be made out on histological study of the regional lymph nodesQ. In Decomposed bodies,they are made visible by treating the area with 3 %hydrogen peroxideQ.